Therapeutic drug monitoring is done for;
1. Phenytoin
2. Heparin
3. Aspirin
4. Metformin

Correct answer: 1. Phenytoin

Explanation: Therapeutic drug monitoring is adjustment of dose of the drug according to its plasma concentration. It is required for A Aminoglycosides (e.g. gentamicin) Drug Digitalis Possessing Phenytoin (anti-epileptics) Low Lithium Therapeutic Tricyclic antidepressants Index Immunomodulators (e.g. cyclosporine) Criteria for doing TDM Low therapeutic index When therapeutic response cannot be easily measured Inconsistent pharmacokinetics of the drug.